Ranolazine is a?
1. Vasodilator
2. Antianginal
3. Antihypertensive
4. Antiarrhythmia

Correct answer: 2. Antianginal

Explanation: ANSWER: (B) AntianginalREF: KDT 6th edition page 522, 536, Katzung 12th edition page 205CLASSIFICATION OF ANTIANGINAL DRUGSNitrates:Short acting: Glyceryl trinitrate (GTN, Nitroglycerine)Long acting: Isosorbide dinitrate (short acting by sublingual route), Isosorbide mononitrate, Erythrityl tetranitrate, Pentaerythritol tetranitrateBeta Blockers; Propranolol, Metoprolol, Atenolol and others.Calcium channel blockers:Phenyl alkylamine: verapamilBenzothiazepin: DiltiazemDihydropyridines: Nifedipine, Felodipine, Amlodipine, Nitrendipine, Nimoil, Lacidipine, Lercanidipine, BenidipinePotassium channel openers; Nicorandi-Others; Dipyridamole,'Tiimetazidine, Ranolazine, OxyphednneRANOLAZINE This recently developed trimetazidine congener LC3-KAT inhibitor is a metabolic modifier approved by US-FDA in 2006 for treatment of chronic angina pectoris in patients who fail to respond to standard antianginal therapy. Approved for chronic angina (KDT 6th edition), Prophylaxis of angina (Katzung) with combination therapyMechanism of action: Ranalozone act by shifting fatty acid oxidation to carbhohydarate oxidation. By reducing late sodium current in myocardium which facilitates Calcium entry. This reduced calcium entry during ischemia provides cardioprotective action.Pharmacokinetics: Orally absorbed, Bioavailablity 30-50%Side effects: Weakness, postural hypotension, Prolongation QT interval, torsades de pointes.